Pit and fissure caries is seen in
1. Class I
2. Class I compound
3. Class II
4. Class II compound

Correct answer: 1. Class I